Guaiac test is used for -
1. Pentosuria
2. Fructosuria
3. For occult blood in stool
4. Pancreatitis

Correct answer: 3. For occult blood in stool

Explanation: Ans. is 'c' i.e., For occult blood in stool